The section defining the rape -
1. 304 B IPC
2. 302 IPC
3. 375 IPC
4. 376 IPC

Correct answer: 3. 375 IPC

Explanation: Ans. is 'c' i.e., 375 IPC Rapeo According to Section 375 IPC, a man is said to commit rape, if he has sexual intercourse with a womenAgainst her willWithout her consentWith her consent, if she isi) Less than 16 years of age.ii) With his own wife less than 15 years of age.iii) Intoxicated or has an unsound mind so that she is unable to understand the consequences.iv) Consent is obtained by unlawful means, i.e. fears of death or hurt to herself or to someone whom she is interested.v) Impersonation, i.e. when the man knows he is not her husband and her consent is given because she believes that he is another man to whom she is lawfully married.